All are true about cardiac muscle EXCEPT?
1. Phase 1 of depolarization is due to opening of voltage gated sodium channels
2. Phase 2 of depolarization is due to slow opening of voltage gated calcium channels
3. Phase 3 of repolarization is due to K+ efflux
4. Tetany of cardiac muscle is never seen

Correct answer: 1. Phase 1 of depolarization is due to opening of voltage gated sodium channels

Explanation: Ans. A Phase 1 of depolarization is due to opening of voltage gated sodium channelsPhase 0 Rapid depolarization due to opening of voltage sensitive sodium channelsPhase 1 Rapid repolarization due to closure of sodium channels and opening of one type of K channelsPhase 2 Plateau phase due to slow and prolonged opening of voltage gated calcium channelsPhase 3 Final repolarization to RMP is due to closure of Ca++ and 4 channels and a slow delayed increase of K+ effluxSince cardiac muscle remains in refractory period until phase 4, tetanic contractions which can occur in skeletal muscle cannot occur in cardiac muscle.